Lady Windermere's syndrome is associated with which of the following organism:
1. Treponema pallidum
2. Listeria monocytogens
3. Non tuberculous mycobacteria
4. Chlamedia trachomatis

Correct answer: 3. Non tuberculous mycobacteria

Explanation: The Lady Windermere syndrome refers to a pattern of Non tuberculous mycobacteria (NTM) infection seen typically in elderly white women who chronically suppress the normal cough reflex. A fastidious nature and a reticence to expectorate are believed to predispose such persons to infections with NTM. Typical manifestation is of bronchiectasis, centrilobular nodules and eventual scarring and volume loss affecting the right middle lobe and left lingula. It is one of the causes of right middle lobe syndrome. Ref: Harrisons principles of internal medicine, 18th edition, Page: 1369.